Stimulation by touching or pulling on which structure is least likely to cause a painful sensation?
1. The postcentral gyrus
2. The dura overlying the postcentral gyrus
3. Branches of the middle meningeal artery that lie superficial to the dura over the postcentral gyrus
4. Branches of the middle cerebral artery that supply the postcentral gyrus

Correct answer: 1. The postcentral gyrus

Explanation: Touching or pulling on the postcentral gyrus is least likely to evoke a painful sensation because brain tissue lacks pain receptors. The pain receptors in the skin and other tissues are all free nerve endings. They are widespread in the superficial layers of the skin, as well as in certain internal tissues, such as the periosteum, the arterial walls, the joint surfaces, and the falx and tentorium in the cranial vault.